Nerve not damaged in breast surgery is?
1. Median nerve
2. Median pectoral nerve
3. Nerve to latissimus dorsi
4. Nerve to serratus anterior

Correct answer: 1. Median nerve

Explanation: ANSWER: (A) Median nerveREF: Breast surgery by William G. Cance page 95Following nerves get injured during breast surgeries:Axillary motor nervesThe long thoracicThoracodorsalMedial pectoralnerves